Anti-LKM antibodies are a series of autoantibodies directed against enzymes in the endoplasmic reticulum of hepatocytes and other cells that are mainly associated with various liver diseases. All of the following are TRUE about LKM antibodies, EXCEPT:
1. LKM-1: Chronic hepatitis
2. LKM-2: Drug-induced hepatitis
3. LKM-2: Infection with HDV
4. LKM-1: Autoimmune hepatitis

Correct answer: 3. LKM-2: Infection with HDV

Explanation: Anti-LKM1 (liver-kidney microsomal) antibodies are seen in chronic hepatitis C and patients with autoimmune hepatitis type 2, and are directed against a 33-amino-acid sequence of cytochrome P450 IID6. Anti-LKM antibodies seen in hepatitis D (anti-LKM3) are directed against uridine diphosphate glucuronosyltransferase. Anti-LKM2 is associated with drug-induced hepatitis and it is directed against a cytochrome P450 enzyme. Ref: Longo D.L., Fauci A.S., Kasper D.L., Hauser S.L., Jameson J.L., Loscalzo J. (2012). Chapter 306. Chronic Hepatitis. In D.L. Longo, A.S. Fauci, D.L. Kasper, S.L. Hauser, J.L. Jameson, J. Loscalzo (Eds), Harrison's Principles of Internal Medicine, 18e.